Which of the following is NOT affected in Rh isoimmunization?
1. Anti C
2. Anti E
3. Anti-Lewis
4. Anti D

Correct answer: 3. Anti-Lewis

Explanation: Anti-Lewis and anti-I antibodies are not associated with fetal hemolytic disease. It differs from all other antigens in that they are not synthesized in RBC membrane, but absorbed into it. Ref: Obstetrics and Gynecology By Charles R. B. Beckmann, American College of Obstetricians and Gynecologists, 2010, Page 197.